Which one of the following amino acids is most likely to be found in the transmembrane region of a protein
1. Lysine
2. Arginine
3. Leucine
4. Aspartate

Correct answer: 3. Leucine

Explanation: Hydrophobic or Nonpolar amino acids are present in transmembrane region.
Hydrophillic or polar amino acids are present on outer surface of membrane.
Leucine is a hydrophobic a.a. so it lies in transmembrane region.